Botulinum toxin produces skeletal muscle paralysis by :
1. Enhancing release of norepinephrine
2. Inhibiting release of acetylcholine
3. Direct damage to nerve endings
4. Producing hemolysis

Correct answer: 2. Inhibiting release of acetylcholine